A 4-year-old African boy develops a rapidly enlarging mass that involves the right side of his face. Biopsies of this lesion is given below. This neoplasm is associated with chromosomal translocations that involve
1. bcl-2
2. c-myc
3. N-myc
4. erb-B

Correct answer: 2. c-myc

Explanation: Biopsies of this lesion reveal a prominent "starry sky" pattern produced by proliferating small, noncleaved malignant lymphocytes. Based on this microscopic appearance, the diagnosis of Burkitt's lymphoma is made. The most common translocation associated with Burkitt's lymphoma is t(8;14), in which the c-myc oncogene on chromosome 8 is brought in contact with the immunoglobulin heavy chain gene on chromosome 14. follicular lymphoma with the translocation t(18;14) involves the bcl-2 oncogene on chromosome 18. Expression of the oncogene bcl-2 is associated with the prevention of apoptosis in germinal centers. N-myc- neuroblastoma erb-B -breast and ovarian cancer. Reference: Robbins & Cotran Pathologic Basis of Disease, 9edition.